Which of the following is most commonly implicated in causing genital was?
1. HPV 16
2. HPV 6
3. HPV 18
4. HPV 28

Correct answer: 2. HPV 6

Explanation: HPV types 6 and 11 cause nearly all genital was. Ref: Williams Gynaecology 1 st edition page 619.